Surveyor is used for
1. Surveying diagnostic cast
2. Contouring wax patterns
3. Measuring undercuts
4. All of the above

Correct answer: 4. All of the above

Explanation: The surveyor may be used for surveying the diagnostic cast, recontouring abutment teeth on the diagnostic cast, contouring wax patterns, measuring a speciﬁc depth of undercut, surveying ceramic veneer crowns, placing intracoronal retainers, placing internal rests, machining cast restorations, and  surveying and blocking out the master cast.